Which of the following opioids should not be used with MAO inhibitors?
1. Morphine
2. Pentazocine
3. Buprenorphine
4. Pethidine

Correct answer: 4. Pethidine

Explanation: pethidine Nonselective MAO inhibitors interfere with hydrolysis but not with demethylation of pethidine - norepithidine is produced in excess and excitement occurs. Excitatory effects include trmors, mydriasis, hyperreflexia, delirium, myoclonus, convulsions etc. Ref: KD Tripathi 8th ed.